The molecular basis of penicillin resistance in S.Pneumoniae is:
1. Alteration of penicillin-binding protein
2. Alteration in cell membranes
3. Alteration in the cell wall
4. None of the above

Correct answer: 1. Alteration of penicillin-binding protein

Explanation: The molecular basis of penicillin resistance in S. pneumoniae is the alteration of penicillin-binding protein (PBP) genes which result in lower affinity for penicillins. Penicillin G is the drug of choice for disease caused by susceptible organisms, including community-acquired pneumonia. Ref: Harisson, Edition - 18, Page 1156